Pancreatic juice rich in water & electrolytes, poor in enzymes are secreted by
1. Secretin
2. Cholecystokinin
3. Pancreatozymin
4. Gastrin

Correct answer: 1. Secretin

Explanation: The pancreatic juice contains enzymes that are of major importance in digestion. Its secretion is controlled in part by a reflex mechanism and in part by the gastrointestinal hormones secretin and cholecystokinin(CCK). Secretion of pancreatic juice is primarily under hormonal control. Secretin acts on the pancreatic ducts to cause copious secretion of a very alkaline pancreatic juice that is rich in HCO3-and poor in enzymes. The effect on duct cells is due to an increase in intracellular cAMP. Secretin also stimulates bile secretion. CCK acts on the acinar cells to cause the release of zymogen granules and production of pancreatic juice rich in enzymes but low in volume. Its effect is mediated by phospholipase C.REF: GANONG'S REVIEW OF MEDICAL PHYSIOLOGYKIM BARRETT, HEDDWEN BROOKS, SCOTT BOITANO, SUSAN BARMANPAGE NO:435,436